Speech problem after adenoidectomy is due to-
1. Trauma to larynx
2. Velopharyngeal insufficiency
3. Trauma to vocal cord
4. Trauma to superior constrictor

Correct answer: 2. Velopharyngeal insufficiency

Explanation: Ans. is 'b' i.e., Velopharyngeal insufficiency o Velopharyngeal insufficiency may occur after adenoidectomyo This causes hypernasality of voice.o It is due to incomplete closure of nasopharynx - abnormal physiological separation of oropharynx from nasopharynx